CLL is characterised by:
1. Small lymphocytes in peripheral smear
2. Seen commonly in age>50 yrs persons
3. Hepato splenomegaly seen
4. All the above

Correct answer: 4. All the above

Explanation: All the above